Ham's test is used in Screening of
1. Hereditary spherocytosis
2. G6PD deficiency
3. PNH
4. Any hemolytic disorder

Correct answer: 3. PNH

Explanation: Ham's test is the best screening test for paroxysmal nocturnal Hemoglobinuria.